Water lily sign is seen in:
1. Hydatid cyst of lung
2. Aspergilloma lung
3. T.B
4. Silicosis

Correct answer: 1. Hydatid cyst of lung

Explanation: Ans: A (Hydatid...) HYDATID LUNG Review of Radiology by Sumer Sethi 6th/59No or rare calcification in lungWater lily sign or Camalote sign (in chest X-ray)LUNG ECHINOCOCCOSIS Danhert Radiology manual 5th/493Water lily sign-completely collapsed crumpled cyst membrane floating on the cyst fluidSign ofCamalotteSerpent signCumbo signMeniscus signCrescent signHemartoma lung: Carney's triad & calcification-Danhert Radiology manual 5th/489Silicosis: eggshell calcification- WHO Manual of Radiological interpretation 1st/75